While testing a hypolipidemic drug, serum lipid levels were tested both before and after its use. Which test is best suited for the statistical analysis of the result -
1. Paired T test
2. Student's test
3. Chi squre test
4. None of the above

Correct answer: 1. Paired T test

Explanation: Ans. is 'a' i.e., Paired t-test a Paired T - test : is applied to paired data when each individual gives a pair of observation, such as when observations are made both before and after the play of a factor. e.g. Pulse rate before and after administration of a drug. In the question above serum lipid levels were tested both before and after administering a hypolipidemic drug. A paired t-test therefore is most suitable in this case.